Mass in right iliac fossa can be ?
1. Ileoceccal T.B.
2. Ileocecal neoplasm
3. Ameboma
4. All

Correct answer: 4. All

Explanation: Ans. is 'd' i.e., All